Increased nuchal fold thickness is a feature of ?
1. Paul-Bunnel syndrome
2. De-pan syndrome
3. Down's syndrome
4. Cri-duchat syndrome

Correct answer: 3. Down's syndrome

Explanation: Ans. is 'c' i.e., Down's Syndrome Nuchal fold thickness is increased in Down syndrome. This feature is used in suspecting the diagnosis of Down's syndrome prenataly. Down's syndrome o Down's syndrome is due to trisomy 21. o Down's syndrome is the most common trisomy. o In this condition, extragenetic materia causes delay in the way a child develops and often leads to intellectual disability. o In Down's syndrome the child gets on extra chromosome, he has total of 47 chromosome instead of 46 chromosome. o This is the extra genetic material that causes the physical and cognitive delays associated with Down's syndrome. o There is a well recognized association with advanced maternal age, the risk considerably increases in women > 35 years of age. o Advanced paternal age has no effect.